A 29-year-old male is suspected of having viral encephalitis. Which of the following is the most likely result from CSF analysis?
1. Raised protein + raised lymphocytes + normal glucose
2. Raised protein + normal lymphocytes + normal glucose
3. Raised protein + raised lymphocytes + raised glucose
4. Normal protein + raised lymphocytes + raised glucose

Correct answer: 1. Raised protein + raised lymphocytes + normal glucose

Explanation: VIRAL encephalitis N Glucose n or slightly | Protein || Lymphocytes Spinal Fluid Analysis for Meningitis Etiology Opening Pressure WBC Count Protein Glucose CSF/Serum Glucose Ratio Normal <180 mm H2O <=5 cells/mm3 15-45 mg/dL 45-80 mg/dL 0.6-0.7 Bacterial >180 mm H2O >100 cells/mm3 PMNs predominant >45 mg/dL <40 mg/dL <0.4 Viral,Borrelia burgdorferi,Treponema pallidum,Bartonella henselae <180 mm H2O 25-500 cells/mm3 Lymphocyte predominant 15-45 mg/dLor slightly raised 45-80 mg/dL 0.6-0.7 Fungi,Mycobacterium tuberculosis, sarcoid, lymphoma, leptomeningeal metastases, partially treated bacterial meningitis Normal or increased 25-500 cells/mm3 Lymphocyte predominant >45 mg/dL <40 mg/dL <0.6